On sonography a multigravida found to have oligohydramnios. Which among the following will be associated with this condition?
1. Oesophageal atresia
2. Spina bifida
3. Cholangioma of placenta
4. Renal agenesis

Correct answer: 4. Renal agenesis

Explanation: Congenital Anomalies Associated with Oligohydramnios: Amniotic band syndrome Cardiac: Fallot tetralogy, septal defects Central nervous system: holoprosencephaly, meningocoele, encephalocoele, microcephaly Chromosomal abnormalities: triploidy, trisomy 18, Turner syndrome Cloacal dysgenesis Cystic hygroma Diaphragmatic hernia Genitourinary: renal agenesis, renal dysplasia, urethral obstruction, bladder exstrophy, Meckel-Gruber syndrome, ureteropelvic junction obstruction, prune-belly syndrome Hypothyroidism Skeletal: sirenomelia, sacral agenesis, absent radius, facial clefting TRAP (twin reverse arterial perfusion) sequence Twin-twin transfusion VACTERL (vertebral, anal, cardiac, tracheo-esophageal, renal, limb) association Ref: Cunningham F.G., Leveno K.J., Bloom S.L., Hauth J.C., Rouse D.J., Spong C.Y. (2010). Chapter 21. Disorders of Amnionic Fluid Volume. In F.G. Cunningham, K.J. Leveno, S.L. Bloom, J.C. Hauth, D.J. Rouse, C.Y. Spong (Eds), Williams Obstetrics, 23e.